Clinical features of infectious mononucleosis
1. Glandular involvement
2. Febrile
3. Palatine petechiae
4. All of the above

Correct answer: 4. All of the above